Cognizable offence comes under which section of CrPC:
1. 2 (c)
2. 2 (b)
3. 1 (a)
4. 2 (1)

Correct answer: 1. 2 (c)

Explanation: Ans. 2 (c)